For aortic graft the best material available is -
1. Dacron
2. Artery
3. Vein
4. None

Correct answer: 1. Dacron

Explanation: Ans. is 'a' i.e., Dacron